Total cutaneous blood flow is
1. 1500 ml/min
2. 1000 ml/min
3. 450 ml/min
4. 250 ml/min

Correct answer: 3. 450 ml/min

Explanation: At rest, the cutaneous blood flow is approximately 450 ml/min in the average ... It accounts for 5% of the total body oxygen consumption.